Swarming motility is shown by
1. Proteus
2. Cholera
3. Shigella
4. Salmonella

Correct answer: 1. Proteus